True about Generatory potential ?
1. Not graded
2. Magnitude increased in direct proportion to strength of stimulus
3. All or none phenomenon
4. Propagated

Correct answer: 2. Magnitude increased in direct proportion to strength of stimulus

Explanation: Ans. is 'b' i.e., Magnitude increased in direct proportion to strength of stimulusGenerator potential is a local potential which is :-i) Graded - Magnitude directly related to the strength of stimulus.ii) Decreased - Fade out after traveling a short distance.iii) Non-propagated.